Painful ulcer on glans penis is seen in:
1. Syphilis
2. Lymphogranuloma venerum
3. Chancroid
4. Chancre

Correct answer: 3. Chancroid

Explanation: Ans: (c) ChancroidRef: Harrison 19th ed. / 881, 1134* Chancroid is a bacterial STD caused by H.Ducreyi. It is characterized by painful sores on the genitalia. Chancroid is known to spread from one individual to another solely throueh sexual contact.* A chancre on the other hand is a painless ulceration/ sore most commonly formed during the primary stage of syphilis.